Malignant hyperthermia is most commonly precipitated by:
1. Succinyl choline
2. Dantrolene sodium
3. Gallamine
4. Pancuronium

Correct answer: 1. Succinyl choline

Explanation: Succinyl choline